Which of the following about the composition of new ORS is wrong?
1. NaCl- 2.6 grams /Litre
2. KC1 - 1.5 grams/litre
3. Glucose - 13.5 grams/litre
4. Total osmolarity - 300 mmol/1

Correct answer: 4. Total osmolarity - 300 mmol/1

Explanation: ANSWER: (D) total osmolarity - 300 mmol/1REF: Park 20th edition page 197 &198Indirect repeat in December 2011COMPOSITION OF REDUCED OSMOLARITY ORS:_(245 mOsm/L) Gms/ litremMol/litSodium chloride2.6Na (75 ) , Cl ( 65 )Anhydrous glucose13.575Potassium chloride1.5K( 20 )Tri sodium citrate2.910Total osmolarity 245Total weight20.5